Which vasculitis is seen most commonly in childhood?
1. Kawasaki
2. HSP
3. Susac syndrome
4. Giant cell

Correct answer: 2. HSP

Explanation: Disease in choice Age of presentation and findings Kawasaki Occurs predominantly in young children; 80% of patients are <5 yr, and, only occasionally, are teenagers or, more rarely, adults affected. HSP Usually seen in children; most patients range in age from 4 to 7 years; however, the disease may also be seen in infants and adults. Susac's Syndrome Consists of the triad of encephalopathy, branch retinal artery occlusions (BRAO), and hearing loss. It usually affects women aged 20 to 40, but men are also affected, and the age range extends from 9 to 72 years Giant Cell Arteritis Occurs almost exclusively in individuals >50 year